Phospholipase A2 act on:
1. Phosphoglyceric acid
2. Phosphate
3. Ca+
4. Phosphatidyl-inositol

Correct answer: 4. Phosphatidyl-inositol

Explanation: Ans: d. Phosphatidyl-inositolPhospholipases hydrolyze the phosphodiester bonds of phosphoglycerides, with each enzyme cleaving the phospholipid at a specific site.Phospholipases release molecules that can serve as messengers (for example, DAG and IP3), or that are the substrates for synthesis of messengers (for example, arachidonic acid.Phospholipases are responsible not only for degrading phospholipids, but also for "remodeling" them. For example, phospholipases Al and A2 remove specific fatty acids from membrane-bound phospholipids; these can be replaced with alternative fatty acids using fatty acyl CoA transferase.